Lumbar sympathectomy is the treatment for
1. Trophic ulcer
2. Distal ischaemia affecting the skin of the toes with rest pain
3. Arteriovenous fistula
4. Diabetic neuropathy

Correct answer: 2. Distal ischaemia affecting the skin of the toes with rest pain

Explanation: (B) Distal ischaemia affecting the skin of the toes with rest pain